Which of the following statements is true for excitatory postsynaptic potentials (EPSP)
1. Are self propagating
2. Show all or none response
3. Are proportional to the amount of transmitter released by the presynaptic neuron
4. Are inhibitory at presynaptic terminal

Correct answer: 3. Are proportional to the amount of transmitter released by the presynaptic neuron

Explanation: EPSP is proportional to the amount of neurotransmitter released, so not an ‘all or none’ activity. 
It is not self-propagating, nor does it have any action on presynaptic terminal.